Major neurotransmitter released at end organ effectors of the sympathetic division of autonomic nervous system
1. Adrenaline
2. Nor adrenaline
3. Dopamine
4. Acetylcholine

Correct answer: 2. Nor adrenaline

Explanation: Refer katzung 10e p76,kdt 6/e 116 Neurotransmitter secreted at the end organ effects of sympathetic system is mostly nor adrenaline (except hair follicles and sweat glands, where it is Acetylcholinesterase) where as it is acetylcholine in parasympathetic system